The following are indications for assisted ventilation in acute severe asthma EXCEPT?
1. PEFR 50-60% of predicted value
2. Rising PaCO2> 6kPa (45 mm Hg)
3. Diminishing level of consciousness
4. Falling PaO2< 8kPa (60 mm Hg)

Correct answer: 1. PEFR 50-60% of predicted value

Explanation: PEFR of 50-60% indicates moderate asthma. Indication for intubation in asthma exacerbation is a poor response to oxygen with salbutamol nebulisation and oral steroids. The definition of poor response is: 1. FEV1< 40%. 2. PaCO2> 45mmHg. 3. Features of carbon dioxide narcosis. 4. Hypoxia defined as PaO2<60 mm Hg.